The level of alpha fetoprotein is raised in all of the following except.
1. Cirrohosis of liver.
2. Hepatocellur carcinoma
3. Yolk sac tumor
4. Dysgerminoma

Correct answer: 4. Dysgerminoma

Explanation: Ans. is 'd' i.e. Dysgerminoma Elevation of a feto protein is not seen in dysgerminoma. It may sometimes show elevation of bHCG.Raised a fetoprotein is seen in:Neoplastic conditions:Liver cancerGerm cell tumours of testis (non seminomatous)Yolk sac tumours*Embryonal carcinoma*Non neoplastic conditions:Cirrhosis*Pregnancy*